A distressing complication of radical mastectomy is-
1. Paralysis of the fifth finger of the hand
2. Odema of the arm
3. Loss of sensation of the medial side of the arm
4. Frequent skin infections of the hand on the affected side

Correct answer: 2. Odema of the arm